In Dacryocystorhinostomy, opening is done into which of the following part of the nose?
1. Superior meatus
2. Middle meatus
3. Inferior meatus
4. None of the above

Correct answer: 2. Middle meatus

Explanation: Dacryocystorhinostomy is a surgical procedure performed to assist in the drainage of tears and secretions from the lacrimal sac into the middle meatus of the nose by forming a short circuit through the lacrimal bone and the nasal mucosa. This procedure is performed when the nasolacrimal duct is obstructed by fibrous tissue or bone and has become impermeable in order to establish a new communication pathway between lacrimal sac and nose.